Corpus delicti means:
1. Proof of occurrence of crime
2. Decomposed body
3. Identification of dead person
4. None

Correct answer: 1. Proof of occurrence of crime

Explanation: Ans. Proof of occurrence of crime